The most common pathogenic organism causing pyogenic liver abscess in children is:
1. Staphylococcus aureus
2. H Influenzae
3. Entamoeba Histolytica
4. Klebsiella

Correct answer: 1. Staphylococcus aureus

Explanation: In children with pyogenic liver abscesses, the most common pathogenic organisms include Staphylococcus aureus